Thrombolytics can provide relative morality reduction in the treatment of acute myocardial infarction if patient comes within
1. 6 hrs
2. 12 hrs
3. 18 hrs
4. 24 hrs

Correct answer: 2. 12 hrs

Explanation: Thrombolytic drugs should be given within 12 hours after onset of acute MI and within 3 hours of acute stroke Refer Harrison 18/e p2027